A 24-year-old primigravida with HIV serology positive is in the antenatal OPD. CD-4 Count : 600 cells/uLHIV-1 viral load : 2,680 copies/mL Which of the following is the best method of reducing maternal-fetal transmission of HIV infection?
1. Elective cesarean section
2. Nevirapine therapy for the infant after birth
3. Pooled intravenous immunoglobulin G therapy for the infant
4. Triple antiretroviral therapy for the mother throughout pregnancy

Correct answer: 4. Triple antiretroviral therapy for the mother throughout pregnancy

Explanation: Combination antiretroviral therapy should be given to the mother throughout pregnancy. This is the best way to suppress maternal HIV and prevent transplacental or perinatal acquisition by the infant. ART is given regardless of maternal CD4 count or viral load. Viral load of less than 1000 copies can be delivered vaginally where the cesarean provides no better protection to reduce the Mother to child transmission